Which of the following is not a type of dental caries based on senility of dental caries:
1. Rampant caries.
2. Arrested caries.
3. Recurrent caries.
4. None.

Correct answer: 3. Recurrent caries.

Explanation: Based on whether it is new or occurring at margin of restoration

Primary
Recurrent (Secondary)

Based on senility of dental caries

Rampant
Arrested